Stapedius nerve is a branch of
1. Trigeminal nerve
2. Facial nerve
3. Vagus nerve
4. None

Correct answer: 2. Facial nerve

Explanation: The stapedius lies in a bony canal that is related to the posterior wall of the middle ear. Posteriorly and below, this canal is continuous with the vertical part of the canal for facial nerve. Anteriorly, the canal opens on the summit of the pyramid. Ref.BDC volume3,sixth edition pg 280